Highly vestibulotoxic drug is?
1. Cisplatin
2. Streptomycin
3. Dihydrostreptomycin
4. Quinine

Correct answer: 2. Streptomycin

Explanation: ANSWER: (B) StreptomycinREF: Audiology: treatment By Michael Valente, Holly Hosford-Dunn, Ross J. Roeser page 384Although most ototoxic drugs are both cochleotoxic and vestibulotoxic however they are either predominantly cochleotoxic or vestibulotoxicPredominantly cochleotoxicPredominantly vestibulotoxicKanamycin, Amikacin and Neomycin (Mnemonic-KAN)StreptomycinDihydro streptimycinGentamycinErythromycinQuininePlatinum compounds (cisplatin)Vincristine/YinblastineNeomycin is the worst offender relating to cochleotoxicityStreptomycin and gentamicin are the most vestibulotoxic aminoglycosidesLoop diuretics such as ethacrynic acid and furosemide may potentiate the ototoxic effects of the aminoglycosides and should be avoided when possible.